Medusahead appearance on agar plates is characteristic of
1. Hemophilus
2. Pneumococcus
3. Bacillus
4. Yersinia

Correct answer: 3. Bacillus

Explanation: When grown on blood agar plates, Bacillus anthracis produce nonhemolytic grey to white, tenacious colonies with a rough texture and a ground-glass appearance. Comma-shaped outgrowths (Medusa head, "curled hair") may project from the colony.Jawetz 27e pg: 180